Which is the MOST common species of pseudomonas causing intravascular catheter related infection?
1. P. cepacia
2. P. aeruginosa
3. P. maltophilia
4. P. mallei

Correct answer: 2. P. aeruginosa

Explanation: P. aeruginosa is the most common species of pseudomonas which causes intravascular catheter related infection. Commonly associated with plastic catheters and selected for by surgical tissue breakage, Pseudomonas aeruginosa is a frequent nosocomial organism. P.aeruginosa is an aerobic gram negative bacillus which is not normally a part of the endogenous flora of the human host. It possesses endotoxin and a series of exotoxins. It causes local infection of paranasal sinuses of non compromised host and cause severe infection in patients compromised by the obstruction of nasotracheal tubes, impaired mucous membrane clearance and neutropenia. It is also known to cause malignant otitis externa in elderly diabetic patients. Ref: Otolaryngology: Basic Science and Clinical Review edited by Thomas Van De Water, page 88.